A 22 year old lady died. The postmoum appearance that will indicate that she has had delivered a child are all, except:
1. Walls of uterus are convex from inside
2. Cervix is irregular and external os is patulous
3. Body of uterus is twice the length of cervix
4. Uterus is bulky, large and heavy than nullipara

Correct answer: 1. Walls of uterus are convex from inside

Explanation: Walls are concave from inside forming a wider and rounded cavity, while the walls of the nulliparous uterus are convex on the inner aspect and form a cavity which is smaller in cavityand triangular in shape. Signs of Remote delivery in the dead include: 1. Uterus is larger, thicker, and heavier. 2. Walls are concave from inside 3. Top of the fundus is convex, and at a higher level than that of broad ligaments. 4. The body of uterus is twice the length of cervix (same length in virgin). 5. The cervix is irregular in form, shortened, its edges show cicatrices. 6. External os is enlarged,and Internal os is not so well defined.